All are true about cochlear implant except:
1. Minimum age is 1 year
2. PTA of 70 dB or more
3. Switch on is done after 3 weeks
4. MRI has no role in pre op assessment

Correct answer: 4. MRI has no role in pre op assessment

Explanation: Pre op investigation done before an implant is placedComplete audiological evaluationHRCT